Periodontal flap surgery is most difficult in:
1. Incisors (facially)
2. Incisors (lingually)
3. 2nd molars (facially)
4. 2nd molars (distally)

Correct answer: 4. 2nd molars (distally)